Diameter of the Vossius's ring is
1. Equal to normal pupil
2. Smaller than the normal pupil
3. Slightly larger than the normal pupil
4. Much larger than the normal pupil

Correct answer: 2. Smaller than the normal pupil

Explanation: Vossius ring: It is a circular ring of brown pigment seen on the anterior capsule. It occurs due to striking of the contracted pupillary margin against the crystalline lens due to blunt trauma. It is always smaller than the size of the pupil. Ref:- A K KHURANA; pg num:-405